Positive predictive value is most affected by-
1. Prevalence
2. Sensitivity
3. Specificity
4. Relative risk

Correct answer: 1. Prevalence

Explanation: Ref:Parks 25th edition pg.153 Postitive predictive value depends on prevalence. Note : PPV increases as prevalence increases. PPV decreases as prevalence decreases. But sensitivity and specificity is independent of prevalence.